True about shigella dysentriae except -
1. It invades colonic mucosa
2. It can cause HUS
3. Produces verocytotoxin
4. Produces mildest form of dysentry

Correct answer: 4. Produces mildest form of dysentry

Explanation: Ans. is 'd' i.e., Produces mildest form of dysentry * Mildest form of dysentry is caused by Sh. Sonnei.